Secondary pulmonary tuberculosis usually involves:
1. Base of lungs
2. Apex of lungs
3. Middle lobes
4. Lower lobes

Correct answer: 2. Apex of lungs

Explanation: Ans: B i.e. Apex of lungs Secondary pulmonary TB classically involves the apex of the upper lobes of one or both the lungs Progressive primary TB more often resembles an acute bacterial pneumonia, with lower and middle lobe consolidation, hilar adenopathy, and pleural effusion; cavitation is rare.